Periodontal ligament fibroblasts can generate a force for tooth Eruption as:
1. Expression of alkaline phosphate and cyclic AMP is more in Periodontal ligament fibroblasts.
2. Motile and contractile.
3. Fibroblast is responsible for the formation and remodelling of the periodontal ligament fibres.
4. None of the Above.

Correct answer: 2. Motile and contractile.

Explanation: Periodontal ligament fibroblasts are ectomesenchymal in origin whereas gingival fibroblasts are mesodermal in origin.
Expression of alkaline phosphatase and cyclic AMP is more in periodontal ligament fibroblasts. Gingival fibroblasts are less proliferative
Periodontal ligament fibroblasts can generate a force for tooth eruption as they are motile and contractile. Fibroblasts in PDL are capable of collagen degradation also.